Which of the following skeletal muscle relaxants undergo Hoffman's elimination ?
1. Atracurium
2. Succinylcholine
3. Mivacurium
4. Vecuronium

Correct answer: 1. Atracurium

Explanation: Atracurium is inactivated by → 1) Hoffman's elimination, 2) Alkaline ester hydrolysis.
Cisatracurium is inactivated by Hoffman's elimination